Following events occur in organizing stage of amelogenesis
1. Formation of pre ameloblast
2. Induction of odontoblast
3. Dentin formation
4. All of the above

Correct answer: 4. All of the above